Vitamins playing an important role in citric acid cycle:
1. Thiamine, riboflavin, niacin, pantothenic acid
2. Thiamine, biotin, riboflavin, lipoic acid
3. Thiamine, pyridoxine, riboflavin, niacin, pantothenic
4. Thiamine, mecobalamin, pantothenic acid

Correct answer: 1. Thiamine, riboflavin, niacin, pantothenic acid

Explanation: Role of Vitamins in TCA Coenzyme Vitamin TCA cycle enzyme TPP B1 (Thiamine) * Alpha - Ketoglutarate DH * Isocitrate DH FAD B2 (Riboflavin) Succinate DH NAD B3 (Niacin) * Alpha - Ketoglutarate DH * Isocitrate DH * Malate DH Coenzyme A B5 (Pantothenic acid) Succinyl CoA